Which of the following effects of adrenaline would be block the by phentolamine but not by propanonol
1. Cardiac stimulation
2. Relaxation of bronchial smooth muscle
3. Relaxation of uterus
4. Contraction of radiap smooth muscle in the iris

Correct answer: 4. Contraction of radiap smooth muscle in the iris

Explanation: Ref-KDT 6/e p123 Smooth muscle of iris contain alpha receptor whereas heart,bronchus and uterus possess ba-adrenergic receptor